Which of the following blocks DNA replication with getting incorporated in DNA strand:
1. Cytarabine
2. Nalidixic acid
3. Ciprofloxacin
4. Paclitaxel

Correct answer: 1. Cytarabine

Explanation: A i.e. Cytarabine